Rapid progression of disease with full blown manifestation in AIDS occurs when T4 cell count falls bellow-
1. 1000/microL
2. 500/microL
3. 200/microL
4. 50/microL

Correct answer: 3. 200/microL

Explanation: Rapid progression of disease with full-blown manifestation in AIDS occurs when CD4 T cell count falls below 200/µL.